Which of the following drugs can cause hypotension by the release of histamine from mast cells?
1. Aspirin
2. Procaine
3. Morphine
4. Sulfadiazine

Correct answer: 3. Morphine

Explanation: Basic drugs like morphine, d-TC and amphotericin B etc act as histamine liberators and can cause acute reaction leading to itching and hypotension.